Which of the following statements about C. diphtheria is false -
1. Toxin production is mediated by native chromosome
2. Organism may be identified by tests for toxigenicity
3. Toxin acts by inhibiting protein synthesis
4. Toxin may affect the heart and nerves

Correct answer: 1. Toxin production is mediated by native chromosome